A 3-year-old child is admitted to the emergency department with a particularly severe attack of asthma. Which of the following is the most important factor in increasing the intrathoracic capacity in inspiration?
1. "Pump handle movement" of the ribs-thereby increasing anterior-posterior dimensions of the thorax
2. "Bucket handle movement" of the ribs-increasing the transverse diameter of the thorax
3. Straightening of the forward curvature of the thoracic spine, thereby increasing the vertical dimensions of the thoracic cavity
4. Descent of the diaphragm, with protrusion of the abdominal wall, thereby increasing vertical dimensions of the thoracic cavity

Correct answer: 4. Descent of the diaphragm, with protrusion of the abdominal wall, thereby increasing vertical dimensions of the thoracic cavity

Explanation: Contraction of the diaphragm (descent) pulls the dome inferiorly, increasing the vertical dimension of the thorax. This is the most important factor in inspiration for increasing the internal pulmonary volume and concomitantly decreasing intrathoracic pressure. The contraction of intercostal muscles is usually involved in forced inspiration, resulting in increases in the transverse and anteroposterior dimensions of the thoracic cavity.